Telefona refers to?
1. Pulling of hairs
2. Beating of soles
3. Beating on both ears
4. Beating on head

Correct answer: 3. Beating on both ears

Explanation: .Ans. (c) Beating on both earsRef: Reddy 5th ed. / 257